Which of the following muscle do not take part in formation of perineal body?
1. Bulbospongiosus
2. External anal sphincter
3. Ischiocavernosus
4. Levator Ani

Correct answer: 3. Ischiocavernosus

Explanation: Muscles forming perineal body

Bulbospongiosus
Levator Ani
Superficial transverse perineal muscle
Deep transverse perineal muscle
External anal sphincter
Longitudinal muscle of Anal canal